Which of the following is not used for procuring criminal abortion
1. Ripe fruit of papaya
2. Saffron
3. Seeds of carrot
4. Unripe fruit of pineapple

Correct answer: 1. Ripe fruit of papaya

Explanation: Drugs having poisonous effects on body causing abortion:- Unripe fruit of papaya Saffron Seeds of carrot Unripe fruit of pineapple juice of calotropis juice of plumbago